Staghorn calculus is made of
1. Oxalate
2. Phosphate
3. Uric acid
4. Cystine

Correct answer: 2. Phosphate